Transplantaton of an organ at site other than its original location is called -
1. Orthotopic graft
2. Allograft
3. Isograft
4. Heterotopic graft

Correct answer: 4. Heterotopic graft

Explanation: Answer- D. Heterotopic graftHeterotopic graft : A transplant placed in a site defferent from where the organ is normally located.